Myringotomy is indicated in -
1. Coalescent mastoiditis
2. Cholesteatoma
3. ASOM
4. External otitis media

Correct answer: 3. ASOM

Explanation: Myringotomy

Myringotomy is also known as myringocentesis, tympanostomy or tympanotomy. Myringotomy is a surgical procedure in which a small incision is made in the eardrum (tympanic membrane). Myringotomy is done to drain suppurative or nonsuppurative fluid (effusion) of the middle ear or to provide aeration in case of the nonfunctional eustachian tube.

Indications
1) Acute suppurative otitis media

A severe earache with bulging tympanic membrane
Incomplete resolution with opaque drum and persistent conductive deafness
Complications of acute otitis media, e.g. facial paralysis, labyrinthitis or meningitis with bulging tympanic membrane

2)   Serous otitis media
3)   Aero-otitis media (to drain fluid and "unlock" the eustachian tube)
4)   Atelectatic ear (grommet is often inserted for long-term aeration)